Torsiversion refers to
1. Change in axial inclination
2. Change in position
3. Impaction of tooth
4. Rotation around its axis

Correct answer: 4. Rotation around its axis